Satellitism is seen in culture of:
1. Hemophilus influenzae
2. Streptococcus
3. Klebsiella
4. Proteus

Correct answer: 1. Hemophilus influenzae

Explanation: Ans. is 'a' i.e., Hemophilus influenzae(Ref: Harrison, 19th/e, p. 1010; Ananthanarayan, 9th/e, p. 327)Show Satellitism on Blood agar with Staph, aureus.